Passive forcible dorsiflexion of foot with knee extended causes pain in the calf. This is called
1. Moses sign
2. Homan's sign
3. Schwartz sign
4. Fegan's test

Correct answer: 2. Homan's sign

Explanation: Homan's sign is test for deep vein thrombosis. Passive dorsiflexion of foot with knee extended causes pain in the calf.